Nitric Oxide Synthase :
1. Is inhibited by Ca+
2. Catalyzes a dioxygenase reaction
3. Accepts electrons from NADH
4. Requires NADPH, FAD, FMN & Heme iron

Correct answer: 4. Requires NADPH, FAD, FMN & Heme iron

Explanation: D i.e. Requires NADPH, FAD, FMN & Heme iron